A lady presents at 37 weeks of gestation with uterine contraction and pain suggestive of labour for 10 hours. On examination cervix is persistently 1 cm dilated and uneffaced. What should be the next line of treatment?
1. Sedation and wait
2. Induction with rupture of membranes
3. Augmentation with Oxytocin & Amniotomy
4. Caesarian section

Correct answer: 1. Sedation and wait

Explanation: The patient presenting at 37 weeks of gestation with uterine contractions and pain as that of labour either suggests pre-term labour or false labour. The absence of dilation and effacement rules out the possibility of pre-term labour. Considering all the given options for this patient in the clinical scenario with false labour, it is more appropriate to wait and keep the patient under clinical observation. Also the pain can be relieved through administration of a sedative. Ref: Dutta - textbook of obstetrics Page 116, Pages 314-317; Obstetrics and Gynecology By Charles R. B. Beckmann, American College of Obstetricians and Gynecologists, Barbara M. Barzansky, Frank W. Ling, Douglas W. Laube, Page 91; Management of Common Problems in Obstetrics and Gynecology edited by T. Murphy Goodwin, Main N. Montoro, Laila Muderspach, Richard Paulson, Subir Roy, Page 33 - 35; Labor and Delivery Care: A Practical Guide By Wayne R. Cohen, Emanuel A. Friedman, Page 227 - 229